In Conn's syndrome the following is true:
1. Diastolic HTN without oedema
2. Systolic HTN without oedema
3. Pseudotetany
4. Hyper K+

Correct answer: 1. Diastolic HTN without oedema

Explanation: Answer is A (Diastolic hypertension without edema): Conn's syndrome is characterized by diastolic hypertension without edema.